Tumors associated with infective etiology are all except:
1. Nasopharyngeal ca
2. Hepatocellular ca
3. Non-small cell carcinoma lung
4. Gastric ca

Correct answer: 3. Non-small cell carcinoma lung

Explanation: Non-small cell carcinoma lung Ref- Robbins 8/e p312-315; Harrison 17/e p487 Suspected Carcinogens Microbial Carcinogens Associated Cancer or Neoplasm Epstein-Barr virus Burkitt's lymphoma, nasal T cell lymphoma, nasopharyngeal carcinoma, Hodgkin lymphoma, B cell immunoblastic lymphoma Hepatitis B or C virus Liver cancer Human immunodeficiency virus Non-Hodgkin's lymphoma, Kaposi's sarcoma, squamous cell carcinomas (especially of the urogenital tract) Human papilloma virus Cervix cancer, oral and laryngeal cancers Human T cell lymphotropic virus type I (HTLV-I) Adult T cell leukemia/lymphoma Helicobacter pylori Gastric cancer, gastric MALT lymphoma Schistosomiasis Bladder cancer (squamous cell) Other Carcinogens Associated Cancer or Neoplasm Alkylating agents Acute myeloid leukemia, bladder cancer Androgens Prostate cancer Aromatic amines (dyes) Bladder cancer Arsenic Cancer of the lung, skin Asbestos Cancer of the lung, pleura, peritoneum Benzene Acute myelocytic leukemia Chromium Lung cancer Diethylstilbestrol (prenatal) Vaginal cancer (clear cell) Estrogens Cancer of the endometrium, liver, breast Ethyl alcohol Cancer of the liver, esophagus, head and neck Immunosuppressive agents (azathioprine, cyclosporine, glucocorticoids) Non-Hodgkin's lymphoma Nitrogen mustard gas Cancer of the lung, head and neck, nasal sinuses Nickel dust Cancer of the lung, nasal sinuses Phenacetin Cancer of the renal pelvis and bladder Polycyclic hydrocarbons Cancer of the lung, skin (especially squamous cell carcinoma of scrotal skin) Sunlight (ultraviolet) Skin cancer (squamous cell and melanoma) Tobacco (including smokeless) Cancer of the upper aerodigestive tract, bladder Vinyl chloride Liver cancer (angiosarcoma)